What is the theme for World Health Day 2013?
1. Diabetes
2. Aging
3. High blood pressure
4. Antibiotic resistance

Correct answer: 3. High blood pressure

Explanation: World Health Day is celebrated on 7 April to mark the anniversary of the founding of WHO in 1948. Each year a theme is selected for World Health Day that highlights a priority area of public health concern in the world. The theme for 2013 is high blood pressure. Ref: